Fluid given in first 8 hours to a 28 years old woman with 50 kg weight having burns both lower limbs ?
1. 950 ml
2. 1900 ml
3. 3600 ml
4. 7400 ml

Correct answer: 3. 3600 ml

Explanation: using parklands formula 4 * wt(kg) * %of burns within first 24 hrs , first half should be given within 8hours and the second half within next 16 hours . this formulae is applicable for second degree burns in this case 4*50*(18+18)=7200 so 3600 in first 8 hours